A patient presents with intense chest pain of 2 hrs duration ECG shows ST depression in leads I and V1 to V4. There is associated T inversion and CPK-MB is elevated. Which of the following should be included in his management
1. Nitroglycerine drip
2. Aspirin
3. i.v. metoprolol
4. All of the above

Correct answer: 4. All of the above